During fixation of Bennett's fracture, which muscle hinders it
1. Extensor pollicis brevis
2. Flexor pollicis brevis
3. Flexor pollicis longus
4. Abductor pollicis longus

Correct answer: 4. Abductor pollicis longus

Explanation: D i.e. Abductor pollicis longus Bennett's Fracture dislocation is partial articular fracture of 1st metacarpal baseQ with trapezium- metacarpal dislocation / subluxation(2. Maintenence of reduction is difficult d/t pull of abductor pollicis longusQ & adductor pollicis muscles. Thumb- Carpo - Meta Carpal (CMC) Fracture Dislocations The majority of thumb CMC joint injuries are fracture dislocationQ rather than pure dislocations. The majority of thumb metacarpal base fractures are intra - aicularQ. These intra- articular fractrues are of two types- Bennett's Fracture Dislocation It is partial articular fracture of 1,, metacarpal base with trapezium- metacarpal joint dislocationQ The displacement is driven primarily by abductor pollicis longusQ and adductor pollicis resulting inflexion, supination and proximal migration. It is partial articular fractureQ of 1s, metacarpal base extending into CMC joint & is unstable. In which small volar- radial fragment of metacarpal articular surface remains attached to the anterior oblique ligament, while the remainder of the metacarpal articular surface and shaft is displaced proximally, radially and into adduction in response to the force of the adductor pollicis and abductor pollicis longusQ. Small triangular fragment has remained in contact with the medial half of the trapeziumQ while the remainder of the thumb has subluxated proxamilly Rolando's Fracture Dislocation It is complete articular fracture of base of is metacarpal. It involves whole articular surface with comminuted Tor Y intra articular fracture. * There is disagreement regarding the primary stabilizing ligament in preventing dislocation of 1st CMC joint between deep anteror oblique & dorsoradial ligament. Although the deep anterior oblique was previously Considered the primary stabilizer , more recent research favours the dorsoradial ligament.